Quarantine period of yellow fever is
1. 6 days
2. 8 days
3. 10 days
4. 12 days

Correct answer: 1. 6 days

Explanation: A. i.e. (6 days) (237- Park 19th) (248- Park 20th)* All travelers {including infants) must possess a valid international certificate of vaccination against yellow fever before they are allowed to enter yellow fever "receptive" areas. If no such certificate is available the traveler is placed on quarantine, in a mosquito proof ward for 6 days from the date of leaving an infected area.**The validity of the certificate begins 10 days after the date of vaccination and extends upto 10 years*Important points(i) Yellow fever vaccine is valid till 10years**(ii) Incubation period of yellow fever is - 3 - 6 days**(iii) Transovarian transmission of the disease is seen in yellow fever**(iv) International certificate for traveling is required for -yellowfever**(v) Yellow fever is not present in India because the yellow fever virus is absent**. The common monkey of India. (Maccus spp) is susceptible to yellow fever. The missing link in the chain of transmission as the virus of yellow fever which does not seen to occur in India(vi) According to International health regulation there is no risk of spread of yellow fever. If the aedes aegypti index remains below 1%**(vii) Vector control for yellow fever around an airport is done upto a distance of 400 meter**(viii) Yellow fever - 17D vaccine** administered subcutaneously. Immunity begins to appear on the 7th day and last for more than 35 years and possibly for life. However WHO recommended revaccination after 10 years for international travel.(ix) Cholera and yellow fever vaccines given together or within 3 weeks interfere with each other* The duration of quarantine is Longest incubation period*